Bipolar II disorder characterized by
1. Severe mania and severe depression
2. Hypomania and severe depression
3. Only hypomania
4. Only severe depression

Correct answer: 2. Hypomania and severe depression

Explanation: (B) Hypomania and severe depression # SUBTYPES OF BIPOLAR DISORDER1. Bipolar I: Characterized by episodes of severe mania and severe depression.2. Bipolar II: Characterized by episodes of hypomania (not requiring hospitalization) and severe depression.